Contraindications to epidural analgesia include the following EXCEPT –
1. Raised intracranial pressure
2. Coagulopathy
3. Infection over the back
4. Hypertension

Correct answer: 4. Hypertension